Debranching enzyme in glycogenolysis hydrolyzes which one of the following bonds to release free glucose?
1. a (1-4)
2. a (1-6)
3. p (1-4)
4. 3 (1-6)

Correct answer: 2. a (1-6)

Explanation: Alpha-1,6-glucosidase(debranching enzyme)can hydrolyze the glucose unit held in alpha-1,6-linkage at the branch point.Ref: DM Vasudevan, 7th edition, page no: 124